Which of following structures pass with aorta through the aortic orifice of the diaphragm
1. Azygos vein and phrenic nerve
2. Thoracic duct And vagus nerve
3. Azygos vein and thoracic duct
4. Vagus and phrenic nerves

Correct answer: 3. Azygos vein and thoracic duct